lntra ocular pressure rises in ?
1. Intubation & laryngoscopy
2. LMA
3. Infusion of IV propofol
4. Bag and mask ventilation

Correct answer: 1. Intubation & laryngoscopy

Explanation: Ans. is 'a' i.e., I ntubation & laryngoscopy